Filgrastim is a :
1. T–cell stimulating factor
2. GnRH analogue
3. G–CSF
4. GM–CSF

Correct answer: 3. G–CSF